PQLI includes -
1. IMR
2. Life expectancy at birth
3. MMR
4. Per capita income

Correct answer: 1. IMR

Explanation: Subjective component of well being → Quality of life
While "level of living" is an objective component, "quality of life" comprises the individual's own subjective evaluation.
The index for quality of life is "Physical quality of life index (PQLI) 99.
The PQLI is an attemt to measure quality of life or well-being of a country,
Physical quality of life index consolidates three indicators :-
Literacy rate
Infant mortality rate
Life expectancy at age 1 year (LE)
PQLI ranges from 0 to 100
PQLI in India is 65.